Trigeminal nuclei
1. Main sensory nucleus is located in pons
2. Mesencephalic nucleus is made up of unipolar neurons
3. Motor nucleus is located in pons
4. All of the given options

Correct answer: 4. All of the given options

Explanation: All the three sensory and one motor nucleus of trigeminal nerve arise from pons. Note: Chief sensory nucleus- touch Spinal nucleus-pain, temperature Mesencephalic nucleus- proprioception (Ref: Vishram Singh textbook of clinical neuroanatomy, second edition pg 95,96,100)